A doctor has to do an urgent operation on an unconscious patient to save his life. But there are no relatives to take consent. He goes ahead without obtaining consent from anyone; he is using the principle of:
1. Therapeutic privilege
2. Doctrine of implied consent
3. Therapeutic waiver
4. Doctrine of informed consent

Correct answer: 2. Doctrine of implied consent

Explanation: Ans. Doctrine of implied consent